Which of the following drugs is not used for motion sickness:
1. Metoclopranide
2. Cyclizine
3. Cinnarizine
4. Scopolamine

Correct answer: 1. Metoclopranide

Explanation: repeat